Forrest classification is used for evaluating:
1. Upper GI bleeding
2. Liver transplantation
3. Lower GI bleeding
4. Familial adenomatous polyposis

Correct answer: 1. Upper GI bleeding

Explanation: Forrest classification- stratify patients with upper GI hemorrhage into high and low risk categories for mortality. It is also a significant method of prediction of the risk of re-bleeding and is used for evaluation of the endoscopic intervention modalities. Acute hemorrhage Forrest Ia (Spurting hemorrhage) Forrest Ib (Oozing hemorrhage) Signs of recent hemorrhage Forrest IIa (Visible vessel) Forrest IIb (Adherent clot) Forrest IIc (Flat pigmented haematin on ulcer base) Lesions without active bleeding Forrest III (Lesions without signs of recent hemorrhage or fibrin-covered clean ulcer base)